In a case of lead poisoning the levels of which is elevated?
1. Delta amino levulate
2. Haem
3. Bilirubin
4. Motor conduction

Correct answer: 1. Delta amino levulate

Explanation: (A) Delta amino levulate > Lab tests may reveal a normocytic, normochromic anemia, basophilic stippling, an elevated blood protoporphyrin level (free erythrocyte or zinc), and motor delays on nerve conduction